Fatty liver is caused by all except
1. DM
2. Tetracycline
3. Starvation
4. Excess iron intake

Correct answer: 4. Excess iron intake

Explanation: Fatty change in the liver may result from one of the two types of causes: 1.Conditions with excess fat: i) Obesity ii)Diabetes mellitus iii)Congenital hyperlipidaemia 2.Liver cell damage: i) Alcoholic liver disease (most common) ii)Starvation iii)Protein calorie malnutrition iv)Chronic illnesses (e.g. tuberculosis) v) Acute fatty liver in late pregnancy vi)Hypoxia (e.g. anaemia, cardiac failure) vii)Hepatotoxins (e.g. carbon tetrachloride, chloroform, ether, aflatoxins and other poisons) viii)Drug-induced liver cell injury (e.g. administration of methotrexate, steroids, CCl4, halothane anaesthetic, tetracycline etc) ix) Reye's syndrome. TEXTBOOK OF PATHOLOGY HARSH MOHAN 6TH EDITION PAGE NO:38